A 10-year old child is undergoing squint surgery. He suddenly developed increased heart rate, arrhythmia, high fever, metabolic and respiratory acidosis on arterial blood gases and elevation of end tidal CO2. Which of the following would be the first agent of choice in the management of this condition?
1. Dantrolene
2. Paracetamol
3. Procainamide
4. Sodium bicarbonate

Correct answer: 1. Dantrolene

Explanation: Ans. a. Dantrolene Sudden development of increased heart rate, arrhythmia, high fever, metabolic and respiratory acidosis on arterial blood gases and elevation of end tidal CO, in a child undergoing squint surgery is highly suggestive of malignant hyperthermia. Dantrolene would be the first agent of choice in the management of malignant hyperthermia. "Malignant Hyperthermia: Dantrolene is the only drug effective in reversing the symptoms and preventing the episode.